Gradcnigo's syndrome is characterized by a/e
1. Conductive deafness
2. Retroorbital pain
3. Ear discharge
4. Diplopia

Correct answer: 1. Conductive deafness

Explanation: Ans. a (Conductive deafness). (Ref. PL Dhingra, ENT, 2nd ed., 78)GRADENIGO'S SYNDROME# Petrositis, a complication of otitis media classically presents with a triad of symptoms, known as Gradenigo's syndrome characterized by:- Abducent nerve (lateral rectus) palsy.- Deep seated ear or retro-orbital pain (Vth nerve involvement)- Persistent ear discharge# However, fever, headache, vomiting & sometimes neck stiffness occurs.# Towne's & Stenver's (StockholmC) view for petrous apex and internal auditory meatus point towards diagnosis whileHRCT of temporal bone is confirmatory & gives greater anatomical details. CTT1 MRIT2MRICEMRIAcute petrous apecitis with osteomyelitis (Gradenigo syndrome)Opacified air cells with bony breakdown; nonexpansileLowHighrim enhancement or enhancement of adjacent meninges# Rx these days is antibiotic therapy alone, but sometimes mastoidectomy may be required.